Median palatal suture is a relief area while making upper edentulous impression  because:
1. It overlies nerves and vessels
2. This area is prone for resorption
3. Overlying mucous membrane is thick
4. The submucosal layer is extremely thin

Correct answer: 4. The submucosal layer is extremely thin

Explanation: Maxilla

Supporting structures

Hard palate—rugae
Residual alveolar ridge—maxillary tuberosity


Limiting structures 

Labial frenum
Labial vestibule
Buccal frenum
Buccal vestibule
Hamular notch
Fovea palatine
Posterior palatal seal area


Relief area:

Midpalatine suture
Incisive papilla
Torus palatinus


Stress-bearing areas 

Primary
Horizontal slopes of hard palate lateral to
Median sutures
Secondary
Crest of the residual alveolar ridge
Rugae
Maxillary tuberosity